The best time for surgery of hypospadias is -
1. 1-4 months of age
2. 6-10 months of age
3. 12-18 months of age
4. 2-4 years of age

Correct answer: 2. 6-10 months of age

Explanation: "The best time for surgery for hypospadias is between 6-12 months of age" - Cambell's Urology